Position that is least likely possible by means of bilateral saggital split osteotomy is
1. Advancement
2. Set back
3. Rotation
4. Transverse

Correct answer: 4. Transverse